C. trachomatis is a well-known cause of venereal disease. This organism is also implicated in which of the following?
1. Classic trachoma infection
2. Sexually transmitted cardiac disease in adults
3. Perinatal retinitis
4. Middle-ear infection in young children

Correct answer: 1. Classic trachoma infection

Explanation: Trachoma has been the greatest single cause of blindness in the world. Chlamydia trachomatis is the most common cause of sexually transmitted disease in the United States and is also responsible for the majority of cases of infant conjunctivitis and infant pneumonia.